The facial muscle for facial expression of frowning:
1. Zygomaticus major
2. Corrugator supercili and procerus
3. Dilator naris and depressor septi
4. Depressor anguli oris

Correct answer: 2. Corrugator supercili and procerus

Explanation: A few of the common facial expressions and the muscles producing them are
given below.
1. Smiling and laughing: Zygomaticus major
2. Sadness: Levator labii superioris and levator anguli oris
3. Grief: Depressor anguli oris
4. Anger: Dilator naris and depressor septi
5. Frowning: Corrugator supercilli and procerus
6. Horror, terror and fright: Platysma
7. Surprise: Frontalis
8. Doubt: Mentalis
9. Grinning: Risorius
10. Contempt: Zugomaticus minor
11. Closing the mouth: Orbicularis oris
12. Whistling: Buccinator, and orbicularis oris